Investigation of choice for diagnostic evaluation of hydrocephalus is a one month old child?
1. X-ray skull
2. Ultrasonography
3. CT scan
4. MRI

Correct answer: 2. Ultrasonography

Explanation: Ans. b (Ultrasonography). (Ref. Grainger Radiology, 4th/2469; Refer Q. No. 17 of Radiology of MH'2002).RADIOLOGICAL PROCEDURE/ TOOLPRIME INDICATIONSIVP/IVU# Renal tuberculosis# Renal anomaliesOesophagography# TO fistula (Water-soluble contrast study)# Motility disorders (initial evaluation)# DysphagiaHysterosalpingography (Postmenstrual-preovulatoryperiod)# Infertility0# Congenital uterine anomalies# Tubal blockUrethrography# PU Valves (MCU)# VUR (MCU)# Trauma# StrictureUltrasound# Hydrocephalus in infants0# Thyroid nodule# Initial evaluation of Rotator cuff injury/ subacromial bursitis/ bicipital tendinitis0# Synovial cysts# Pleural/ Pericardial effusion0# First investigation done for Acute abdomen and obstructive jaundice0# Congenital Hypertrophic Pyloric Stenosis & Intussuception0# Gallstones0# Initial evaluation of focal liver lesions# Initial evaluation of blunt trauma abdomen (FAST protocol) 0# Free fluid in abdomen0# Cystic hygroma# Prostatic pathologies (TRUS)# Seminal vesicle pathologies (TRUS)# Staging of early rectal/pancreatic head malignancies (EUS)# Neuroectodermal pancreatic tumors-insulinoma & gastrinoma (EUS)# Scrotal pathologies# Developmental dysplasia of Hip0# Ectopic pregnancy (TVS) 0MRI# Investigation of choice for all brain tumors (CEMRI) 0# Chronic subarachnoid hemorrhage (MRI-FLAIR) 0# Sensitive most for ischemic stroke (DWMRI) 0# In perinatal asphyxia , neurological damage can be predicted by MRI# The best investigation for parameningeal rhabdomyosarcoma0# Best choice to radiologically evaluate a posterior fossa tumor0# Gadolinium enhanced MRI is investigation of choice for vestibular schwannoma.0# First investigation of choice for spinal cord tumor0# Investigation of choice for multiple sclerosis (all white matter diseases)0# Ideal test to detect bone metastasis to only spine. (For all other bones - metastasis : bone scan)0# Imaging of pancoast's tumor ( superior sulcus tumor )deg# Imaging of posterior mediastinal masses# Investigation of choice in traumatic paraplegia0# Investigation of choice for evaluation of suspected Perthes disease and acute osteomyelitis.0# In a 40 year old female patient on long term steroid therapy presents with recent onset of severe pain in the right hip. Imaging modality of choice for this patient is MRI.# Investigation of choice for a pregnant lady with upper abdominal mass# The most sensitive and specific investigation for renal artery stenosis.# Investigation of choice in aortic dissection0# Best diagnosis for dissecting aorta (aortic dissection).# MoyaMoya disease (MRA)